Wenckebachk phenomenon is defined as -
1. Progressive lengthening of PR
2. Slurred QRS complex
3. Irregular heart rate & permature ventricular beats
4. Shortened ST intervals

Correct answer: 1. Progressive lengthening of PR

Explanation: wenkebach phenomenon is the progressive lengthening of PR irt nterval seen in mobitz type 1 AV block. Ref Harrison 20th edition pg 1436